True regarding non accidental traumatic fractures,all except:
1. Costochondral joint fracture
2. Sternal fracture
3. Parietal fracture
4. Metaphyseal corner fracture

Correct answer: 3. Parietal fracture

Explanation: Parietal skull fractures are more suggestive of accidental injury.